Compared with cow’s milk, mother’s milk has more
1. Lactose
2. Vitamin D
3. Protein
4. Fat

Correct answer: 1. Lactose